Vidian neurectomy is done in:
1. Allergic rhinitis
2. Vasomotor rhinitis
3. Atrophic rhinitis
4. Drug-induced rhinitis

Correct answer: 2. Vasomotor rhinitis

Explanation: Vidian neurectomy was first described for the treatment of intractable vasomotor rhinitis in the 1960s but fell into disrepute because of the recurrence of symptoms and significant complications. With subsequent improvements in the understanding of the nasal and sinus anatomy, endoscopic vidian neurectomy can now be performed with minimal dissection and morbidity The principle underlying vidian neurectomy is to sever the preganglionic fibers that reach the sphenopalatine ganglion through the vidian nerve. Several routes have been described to approach the deep seated vidian nerve: Transantral Transeptal Transpalatal Trans ethmoidal and Transnasal The most popular approach to the vidian nerve is the Transantral route.